Organogenesis is maximally affected in which period of gestation ?
1. 1-4 weeks
2. 4-8 weeks
3. 10-15 weeks
4. 15-20 weeks

Correct answer: 2. 4-8 weeks

Explanation: Ans. is 'b' i.e., 4-8 weeksThe development of a new individual in the uterus involves three phases :-Pre-embryo phase or germinal phase (day 0-3 weeks).Embryo phase or embryonic period (weeks 4-8).Fetal phase (weeks 8-38).The embryonic period of development extends from fourth to eighth week of gestation and is also called period of organogenesis.During this period the main organ systems are developed from three germinal layers. However, the function of most of them is negligible except for cardiovascular system, i.e. cardiovascular system is the earliest to function.